Following is not true about adipocere formation -
1. It is a modification of putrefaction
2. It is developed in presence of air
3. It occurs in dead bodies lying in water
4. Body has an offensive sweet smell

Correct answer: 2. It is developed in presence of air

Explanation: Warm, moist and anaerobic environment is required for saponification. Dr. Narayana Reddys Synopsis of Forensic Medicine & Toxicology 27 th edition pg. 86.